Passive cutaneous anaphylaxis detect:
1. Heterocytotropic ab
2. Wheal and flare reaction
3. Atopy
4. Cutaneous anaphylaxis

Correct answer: 1. Heterocytotropic ab

Explanation: Ans. (a)Passive cutaneous anaphylaxis-in vivo method for detection of antibodies.Antigen injection intradermally then same antigen with a dye injected IV - after 4 to 24 hours - wheal flare reaction occurs in intradermal site.Helps to detect IgG ab which is heterocytotropic, not for IgM which is homocytotropic.